Bulls eye retinopathy is seen in
1. Chloroquine
2. Methanol
3. Ethambutol
4. Steroids

Correct answer: 1. Chloroquine

Explanation: Refer Kanski clinical ophthalmology 6/e p842-843 Chloroquine can cause Bulls eye retinopathy. The risk of retinotoxicity increases significantly with cumulative dose of more than 300 g.it is rare if duration is less than than one year